Secretin stimulates secretion of -
1. Pancreatic secretion rich in bicarbonates
2. Pancreatic seretion rich in enzymes
3. Pancreatic secretion rich both in bicarbonate and enzymes
4. Gastric acid

Correct answer: 1. Pancreatic secretion rich in bicarbonates

Explanation: Ans. is 'a' i.e., Pancreatic secretion rich in bicarbonates Secretino Secretin is secreted by the S cells located in the duodenum and jejunum. The most important stimulus for secretinsecretion is the presence of acid in the duodenum. Secretin secretion is also stimulated by the contact of products of protein digestion with the duodenal and jejunal mucosa.o Secretin acts through the group II-A hormonal mechanism, i.e., through cAMP as second messenger. The following are the functions of secretin : -i) It stimulates the secretion of watery, alkaline (bicarbonate rich) pancreatic fluid that is poor in enzymes;ii) It potentiates the action of CCK on the pancreas;iii) It increases the hepatic secretion of bile; i.e., it is a choleretic;iv) It decreases gastric acid secretion;v) It increases the tone of pyloric sphinctor.vi) It decreases rate of gastric emptying.vii) Secretin inhibits gastrin secretion.